A patient presented with splenomegaly, anemia & shows reticulocytosis with increased bone marrow cellularity. The diagnosis is:
1. Pernicious anemia
2. Hemolytic anemia
3. Myelofibrosis
4. Hairy cell leukemia

Correct answer: 2. Hemolytic anemia

Explanation: Hemolytic anemia - reticulocytosis with splenomegaly is seen. Skull and skeletal deformities can occur in childhood due to a marked increase in hematopoiesis and resultant bone marrow expansion